The most rapidly acting nondepolarizing neuromuscular blocking agent which can be used as an alternative to succinylcholine for tracheal intubation is:
1. Rocuronium
2. Pancuronium
3. Doxacurium
4. Pipecuronium

Correct answer: 1. Rocuronium

Explanation: * Rocuronium is the fastest acting Non-depolarizing muscle relaxant (NDMR). It can be used for the rapid sequence endotracheal intubation in patients having contra-indications to the use of SCh. * Mivacurium is the shortest acting NDMR. * SCh is the shortest and fastest acting skeletal muscle relaxant. It is a depolarizing NM blocker.